Treatment of chlamydia pneumonia is-
1. Erythromycin
2. Ceftriaxone
3. Penicillin
4. Sulphonamide

Correct answer: 1. Erythromycin